The definitive sign of pregnancy is :
1. HCG estimation
2. Quickening
3. Chadwick sign
4. Fetal skeleton in X-rays

Correct answer: 4. Fetal skeleton in X-rays

Explanation: Fetal skeleton in X-rays